Nicolsky’s sign is seen in
1. Pemphigus
2. Chronic desquamative gingivitis
3. Haily Haily disease
4. All of the above

Correct answer: 4. All of the above

Explanation: Nicolsky's sign
If non ulcerated gingiva are massaged, epithelium readily strips from connective tissue to tive surface, which bleeds readily. Seen in

Pemphigus
Chronic desquamative gingivitis
Haily-Haily disease
Epidermolysis bullosa